A man is found to be always punctual and frugal. He is quite distressed about small deviations and mistakes from others. He is noticed to keep things clean and organized manner. His relatives inform that he always has been like this and sometimes causing significant distress to people around him. This could be the presentation in which of the following clinical scenarios?
1. Asperger's syndrome
2. Anxious avoidant personality disorder
3. Obsessive compulsive personality disorder
4. Tourette's disorder

Correct answer: 3. Obsessive compulsive personality disorder

Explanation: Obsessive compulsive personality disorder (OCPD) is not OCD. OCPD is also called as Anankastic personality disorder. It comes under cluster C of the DSM 5 criteria. Important features seen in OCPD: Stickler to rules and regulations Specific about minor details Preoccupied to cleanliness Prefer organized and planned schedule - uncomfortable with sudden changes Frugality Lack of flexibility